Acute attck of gout patient came with non tolerance to NSAIDS, which drug to be given
1. Allopurinol
2. Steroid
3. Probenecid
4. Febuxostat

Correct answer: 2. Steroid

Explanation: In Acute gout oral prednisolone(15-20mg daily) or intramuscular methylprednisolone(80-120mg daily) for 2-3 days are highly effective and are a good choice in elderly patients where there is an increased risk of toxicity with colchine and NSAID. Reference : Harrison20th edition pg 2567